The fold of Treves is
1. The fold of mucous membrane projecting into the lumen of the rectum
2. The ilio-appendicular fold of peritoneum
3. The fold of mucous membrane around the papilla of Vater
4. The fold of peritoneum over the inferior mesenteric vein

Correct answer: 2. The ilio-appendicular fold of peritoneum

Explanation: .peritoneum is a serous membrane lining the abdominal cavity. It is composed of outer fibrous tissue layer (which gives strength) and inner mesothelial cell layer (secretes fluid giving lubricating function to the peritoneum). Parts of Peritoneum includes Parietal peritoneum: It lines the inner surface of the abdominal wall, under surface of diaphragm and pelvic wall. It is loosely attached to the overlying walls and can be easily stripped off. It is innervated by the somatic nerves, so pain sensitive. Anterior peritoneum is most sensitive when compared to pelvic peritoneum. 2. Visceral peritoneum: It lines the outer surface of the abdominal viscera, firmly adherent, cannot be stripped off. It is innervated by autonomic nervous system; hence not pain sensitive. Surface area of peritoneum is 2 m2 - equal to surface area of skin. It has property of bidirectional transfer of substances. It can absorb from or transfer to peritoneal cavity, fluid and electrolytes. ref:SRB's manual of surgery,ed 3,pg no 498